In a patient with Listeria meningitis who is allergic to penicillin, the antimicrobial of choice is ?
1. Vancomycin
2. Gentamicin
3. Trimethoprim-sulphamethoxazole
4. Ceftriaxone

Correct answer: 3. Trimethoprim-sulphamethoxazole

Explanation: Ans. is 'c' i.e., Trimethoprim-sulphamethoxazole TIT of listeria monocytogenes meningitis Penicillin sensitive Ampicillin + Gentamicin Penicillin allergic Trimethoprim and Sulphamethoxazole.